Primary prevention is -
1. Prevention of emergence of risk factors
2. Specific protection
3. Early diagnosis
4. Rehablitation

Correct answer: 2. Specific protection

Explanation: Ans. is 'b' i.e., Specific protection